Which of the following impression materials is easy to pour and difficult to remove the stone cast from the impressions?
1. Addition polysilicone
2. Condensation polysilicone
3. Polyether
4. Polysulfide

Correct answer: 3. Polyether